Bradycardia in athletes is due to
1. Increased vagal tone
2. Increased sympathetic tone
3. Decreased cardiac output
4. Low venous return

Correct answer: 1. Increased vagal tone

Explanation: (A) (increased vagal tone)Persons undergoing long term training develop bradycardia at rest. The resting pulse rates in some top class sportsmen/ atheletes (for example. Zatopek. Borg) are quite low. This bradycardia is believed to be due to excessive tone of the vagi. On the other hand, exercise of some intensity will cause less rise of pulse rate after trainingAthletic pseudonephritis ; prolonged, heavy exercise, increases proteins, cells and other abnormal substance in urine due to1. Decrease in renal blood flow (RBE) produces glomerular capillary hypoxia, and increases permeability to large molecules2. Increase in plasma proteins during exercise3. Decreased rate of RBF, thus larger time is required to filter these moleculerCauses of BradycardiaPhysiologicalPathologicalDrugs* Sleep* Athletes* Hypothermia* Hypothyroidism* Heart attack* CHD* Degenerative process of aging* Obstructive jaundice* Increased intracranial pressure* Beta blockers* Channel blocker* Digitalis and antiarrhythmic drugs.